Arthropod vector involved in causing Scrub typhus is
1. Ticks
2. Human louse
3. Fleas
4. Mites

Correct answer: 4. Mites

Explanation: Ref: Ananthanarayana textbook of Microbiology 9th edition Pgno : 405-406 Infections Caused by Rickettsiae and Close Relatives Group Disease Bacterium Arthropod Vector Reservoir Host Rocky MountainSpotted Fever R. rickettsii Ticks Ticks, dogs, rodents Epidemic Typhus R. prowazekii Human louse Humans Endemic Typhus R. typhi Fleas Rodents Scrub Typhus Orientia tsutsugamushi Mites Rodents Ehrlichiosis E. chaffeensisA. phagocytophilum Tick Small mammals